pancreatitis is a side effect of
1. valproate
2. clonazepam
3. clozapine
4. amisulpride

Correct answer: 1. valproate

Explanation: LETHAL SIDE EFFECTS OF VALPROATE - Hyperammonemia - Pancreatitis - Hepatic failure - Neural tube defects - Thrombocytopenia MINOR SIDE EFFECTS OF VALPROATE - Hair loss - PCOD - WEIGHT GAIN - TREMORS Ref.Kaplon and Sadock, synopsis of psychiatry, 11 th editiojn, pg no.935